The occurrence of hypothyroidism following administration of supplemental iodine to subjects with endemic iodine deficiency goiter is known as:
1. Jod-Basedow effect
2. Wolff-Chaikoff effect
3. Rafetoff Syndrome
4. Pendred Syndrome

Correct answer: 2. Wolff-Chaikoff effect

Explanation: Wolf-Chaikoff effect Iodine induced hypothyroidism Jod-Basedow's effect Iodine induced hyperthyroidism PENDRED SYNDROME Congenital sensorineural hearing loss + Goitre Gene is located on chromosome no.7q(long arm) RAFETOFF SYNDROME End organ resistance to T4